Bilateral parotid gland enlargement is seen in all of the following except:
1. Sarcoidosis
2. SLE
3. Chronic pancreatitis
4. Sjogern's syndrome

Correct answer: 2. SLE

Explanation: Answer is B (SLE): Parotid enlargement is not a feature of SLE